High spinal anaesthesia characterized by:
1. Hypertension and tachycardia
2. Hypertension and bradycardia
3. Hypotension and bradycardia
4. Hypotension and tachycardia

Correct answer: 3. Hypotension and bradycardia

Explanation: Ans. C i.e. Hypotension and bradycardia Spinal anaesthesia Site of SA in adults: L2-L3/ L3-L4 space Site of SA in children: L4-L5 space Site of action of SA: Nerve roots of cauda equina Fibres which are blocked earliest: Autonomic pre-ganglionic fibres (sympathetic) Percentage of xylocaine used in SA: 5% Feature of high spinal anaesthesia: - Hypotension and - Bradycardia